Still birth rate includes babies dead after
1. 37 weeks
2. 28 weeks
3. 20 weeks
4. 24 weeks

Correct answer: 2. 28 weeks